A young male, Farhan suffers from a seizure disorder which is characterized by tonic rigidity of limbs followed in 20-30 sec by tremors progressing to massive jerking of the body. This clonic phase lasts for 1-3 min. The anti-seizure drug of choice for this patient is:
1. Clonazepam
2. Ethosuximide
3. Fosphenytoin
4. Valproic acid

Correct answer: 4. Valproic acid

Explanation: Diagnosis of this patient is generalized tonic clonic seizure (GTCS) or grand mal epilepsy. Drug of choice for this condition is valproic acid.